Not a radiological feature of rickets -
1. Splaying of metaphysis
2. Cupping of metaphysis
3. Subluxation of epiphysis
4. Widening of metaphysis

Correct answer: 3. Subluxation of epiphysis

Explanation: Radiological findings in rickets : cupping of metaphysis splaying of metaphysis Fraying of metaphysis widening of growth plate widening of epiphysis cortical thining generalised osteopenia Triradiate pelvis